Complications of chronic pancreatitis include the following except -
1. Portal hypertension
2. Obstructive jaundice
3. Duodenal obstruction
4. Renal artery aneurysm

Correct answer: 4. Renal artery aneurysm

Explanation: Davidson's principles and practice of medicine 22nd edition. *complications-pseudocyst ,pancreatic ascitis,obstructive jaundice,dueodinal stenosis,portal or splendid vein thrombosis,peptic ulcer.